In ICD-11, which of the following were added?
1. Traditional medicine
2. Gaming Disorder
3. Gender Incongruence
4. All the above

Correct answer: 4. All the above

Explanation: The new International Classification of Diseases (ICD), ICD-11, was revealed by the World Health Organization (WHO) on 18th June 2018, with changes to gender incongruence, the addition of gaming disorders, and better tracking of antimicrobial resistance. This is the first revision of the codes to be completely electronic, which WHO officials said was a better way to group conditions, and would enable patient safety to be recorded more easily. Ref :